Fox Fordyce's disease is a disease of ?
1. Eccrine sweat glands
2. Apocrine sweat glands
3. Sebaceous glands
4. Pilosebaceous glands

Correct answer: 2. Apocrine sweat glands

Explanation: Ans. is 'b' i.e., Apocrine sweat glands See explanation- I of session- 9 of Skin of All India 2014-15 pattern of this book.